The following drug is probably not safe in pregnancy-
1. INH
2. Rifampicin
3. Ethambutol
4. Streptomycin

Correct answer: 4. Streptomycin